All are branch of mandibular nerve except:-
1. Lingual nerve
2. Inferior Alveolar Nerve
3. Auriculotemporal nerve
4. Zygomatic nerve

Correct answer: 4. Zygomatic nerve

Explanation: Mandibular nerve (V3 division). The Mandibular Nerve leaves the inferior margin of trigeminal ganglion and leaves the skull through the foramen ovale The Motor Root of the V3 also passes through the foramen ovale & unites with the sensory component of the mandibular nerve outside the skull, Thus, the mandibular nerve is the only branch of trigeminal nerve that contains a motor component. Branches: Nerve to medial pterygoid from main trunk Anterior division: Supplies muscles of mastication. Posterior division: 3 Branches - Auriculotemporal nerve Inferior alveolar nerve Lingual nerve Zygomatic nerve - branch of Maxillary division of Vth nerve